The following are true of kala-azar except-
1. Persistent hypergammaglobulinemia
2. Pancytopenia
3. Cancrum oris can occur
4. Full treatment prevents post kala-azar dermal leishmaniasis

Correct answer: 4. Full treatment prevents post kala-azar dermal leishmaniasis

Explanation: Post kalazar dermal leishmaniasis generally develops 1-2 years after completion of treatment for visceral leishmaniasis or kalazar caused by L.donovani. It is caused by the reversal of the parasite from viscerotropic to dermotropic (refer pgno:43 baveja 3 rd edition)